Civatte bodies are found in :
1. Lichen Planus
2. Psoriasis
3. Dermatophytosis
4. Vitiligo

Correct answer: 1. Lichen Planus

Explanation: A. i.e. Lichen planus